Odourless peritoneal fluid is noticed in ?
1. Perforated petic ulcer
2. Perforated ileum
3. Perforated appendix
4. T.B. Peritonitis

Correct answer: 1. Perforated petic ulcer

Explanation: Ans. is 'a' i.e., Perforated peptic ulcer